Which of the following structure is attached to the head of the fibula?
1. Lateral mensiscus
2. Popliteus tendon
3. Lateral collateral ligament
4. Posterior cruciate ligament

Correct answer: 3. Lateral collateral ligament

Explanation: Head of the fibula Superor surface bears a circular articular facet which articulates with the lateral condyle of tibia. Apex/styloid process projects upwards from its posterolateral aspect. Attachments:- Insertion of the biceps femoris on the Anterolateral slope of the apex. This insertion is c shaped. The fibular collateral ligament of the knee joint is attached within the c shaped area. Origins of the extensor digitorum, the peroneus longus, and the soleus extend on to the corresponding aspects of the head. LATERAL MENISCUS:Circular The posterior end of the meniscus is attached to the medial condyle of femur through two meniscofemoral ligaments. Posterior cruciate ligament:-Begins from posterior part of intercondylar area of tibia, runs upwards, forwards and medially and is attached to lateral surface of medial condyle of femur. Tendon of popliteus attached to the lateral meniscus. {Reference: BDC 6E}